Nuchal fold thickness is used to dignose -
1. Down's syndrome
2. Cri-du-chat sundrome
3. Durpan's syndrome
4. Paul-Bunnel sundrome

Correct answer: 1. Down's syndrome

Explanation: Ans. is 'a' i.e., Down's syndrome